More false positive cases in a community signify that the disease has
1. High sensitivity
2. High specificity
3. community has high prevalence
4. community has low prevalence

Correct answer: 4. community has low prevalence

Explanation: Ref:Parks 23rd edition pg 138 Low prevalence gives more false positive test results. Note : PPV increases as prevalence increases. PPV decreases as prevalence decreases.